True about Secondary herpes simplex
1. Location – Lips, Hard palate and gingival.
2. Symptoms- Painful ulcers.
3. Treatment – Acyclovir
4. All of the above

Correct answer: 4. All of the above